Which of the following is not an RNA virus -
1. Ebola
2. Simian 40
3. Rabies
4. Vesicular stomatitis virus

Correct answer: 2. Simian 40